Asymptomatic gonorrhoea in females is due to infections of :
1. Vagina
2. Urethra
3. Endocervix
4. Fundus

Correct answer: 3. Endocervix

Explanation: Endocervix